Cardiac output is increased by all except
1. Exercise
2. Pregnancy
3. Hot atmosphere
4. Standing from lying down

Correct answer: 4. Standing from lying down

Explanation: Standing from lying down because of pooling of blood in lower limb decrease in cardiac o/p by 20-30%Increasing factorsAnxiety and excitement (50-100%)Eating (30%)Exercise (up to 700%)High environmental temperaturePregnancyEpinephrine 2. Decreasing factorsSitting or standing from lying position (20-30%)Rapid arrhythmiasHea diseaseRef: Ganong's Review of Medical Physiology Twenty-Third Edition pg No:514